An angiogram of a man shows an occlusion of the Costocervical Trunk. This obstruction could produce a marked decrease in the blood flow in which of the following arteries?
1. Superior thoracic artery
2. Transverse cervical artery
3. Ascending cervical artery
4. Deep cervical artery

Correct answer: 4. Deep cervical artery

Explanation: The Costocervical Trunk gives rise to the Deep Cervical and Superior Intercostal Arteries The Superior Thoracic Artery arises from the Axillary Artery. The Transverse Cervical, Inferior Thyroid, and Suprascapular Arteries arise from the thyrocervical trunk. The Ascending Cervical Artery arises from the inferior thyroid artery Branches of Subclavian Artery: 1st Part: Vertebral artery Internal thoracic artery Thyrocervical trunk 2nd Part: Costocervical artery 3rd Part: Dorsal scapular artey Branches of Axillary Artery: 1st Part: Superior thoracic artery 2nd Part: Thoracoacromial artery Lateral thoracic artery 3rd Part: Anterior circumflex humeral artery Posterior circumflex humeral artery Subscapular artery